Presence of Verocay bodies and having predeliction for occurence in the tongue are seen in:
1. Granular cell myoblastoma
2. Neurilemmoma
3. Neurofibroma
4. Metaplasia

Correct answer: 2. Neurilemmoma